Cetuximab (an EGFR antagonist) can be used in :
1. Palliation in head and neck cancer
2. Anal canal carcinoma
3. Gastric carcinoma
4. Lung carcinoma

Correct answer: 1. Palliation in head and neck cancer